In the central transection of spinal cord which is affected in the last?
1. Pinprick
2. Proprioception
3. Temperature
4. Pain

Correct answer: 2. Proprioception

Explanation: Proprioception REF: Harrison's Internal Medicine 17'h edition chapter 372 CENTRAL CORD SYNDROME The central cord syndrome results from damage to the gray matter nerve cells and crossing spinothalamic tracts near the central canal. In the cervical cord, the central cord syndrome produces arm weakness out of proportion to leg weakness and a "dissociated" sensory loss, signifying a loss of pain and temperature sense in a cape distribution over the shoulders, lower neck, and upper trunk in contrast to preservation of light touch, joint position, and vibration sense in these regions. Trauma, syringomyelia, tumors, and anterior spinal artery ischemia (including from aortic dissection) are the main causes.